RHD diagnostic criteria include
1. Oral ulcer
2. Malar rash
3. Erythema marginatum
4. Nail telengectasia

Correct answer: 3. Erythema marginatum

Explanation: Erythema marginatum is a cutaneous finding associated with acute rheumatic fever. The lesions typically develop 7 days to months after the onset of the streptococcal pharyngitis or, rarely, streptococcal skin infections. Erythema marginatum occurs in about 10% cases of acute rheumatic fever. Jones criteria is used for diagnosis of rheumatic fever . Its shown in the following picture Ref Davidson edition23rd pg 532